What is the most common life-threatening complication of thyroidectomy?
1. Haemorrhage
2. Tracheal collapse
3. Laryngeal edema
4. Bilateral vocal cord palsy

Correct answer: 1. Haemorrhage

Explanation: Haemorrhage is the most frequent life-threatening complication of thyroidectomy. Around 1 in 50 patients will develop a haematoma, and in almost all cases this will develop in the first 24 hours.Ref: Bailey and love 27e, page no: 815